The most distinctive feature of pathogenic Entamoeba histolytica on fresh stool examination is
1. Presence of active pseudopodia
2. Erythrophagocytosis
3. Presence of intracytoplasmic vacuole
4. Presence of two nucleoli

Correct answer: 2. Erythrophagocytosis